Whoever being the husband or relatives of the husband of a women subject the female to cruelty shall be punished with 3 years' imprisonment and also liable to fine under
1. Sec. 113 A IEA
2. Sec. 498 A IPC
3. Sec. 304 B IPC
4. Sec.113 B IEA

Correct answer: 2. Sec. 498 A IPC

Explanation: Sec. 498 A IPC - Cruelty to a women by husband / relatives shall be punished with 3 years' imprisonment and also liable to fine Sec. 304 B - Dowry death- death of a married women within 7 yrs of marriage under suspicious conditions.